Which of the following autosomal dominant disorder is characterized by formation of multiple gastrointestinal polyps along with pigmented lesions around the oral cavity
1. Peutz-Jeghers syndrome
2. Rotor syndrome
3. Gardner syndrome
4. Cowden disease

Correct answer: 1. Peutz-Jeghers syndrome

Explanation: The Peutz-Jeghers syndrome is an autosomal dominant disorder that is characterized by the combination of hamartomatous polyps of the small intestine and pigmented lesions around the oral cavity. The most common site for the hamartomatous polyps is the jejunum. This syndrome is associated with a slight increased risk for the development of colon cancer. Ref:- Harsh mohan textbook of Pathology